Which of the component of respiratory chain reacts directly with molecular oxygen ?
1. Cyt b
2. CoQ
3. Cyt C
4. Cyt aa3

Correct answer: 4. Cyt aa3

Explanation: Ans. is 'd' i.e., Cyt aa3